Graves disease is an example of which type immunologic response-a) Type Ib) Type IIc) Type IIId) Type IVe) Type V
1. be
2. ad
3. bc
4. ce

Correct answer: 1. be